Not a feature of Hand- Schuller Christian disease:
1. Punched out bone destruction.
2. Exophthalmos.
3. Enopthalmos.
4. Diabetes insipidus.

Correct answer: 3. Enopthalmos.

Explanation: Hand-Schuller Christian disease is characterized classic triad of:

Single or multiple areas of regular “punched-out” bone destructions in skull.
Unilateral or bilateral exopthalmos and
Diabetes insipidus.

Gingivitis, loose and sore teeth with precocious exfoliation of teeth, failure of healing of sockets, and loss of supporting alveolar bone mimicking advanced periodontal disease are important oral manifestations.